On abdominal ultrasound gall bladder shows at neck and comet tail artifacts. The most likely diagnosis will be:
1. Adenomyomatosis
2. Adenocarcinoma of gall bladder
3. Xanthogranulomatous cholecystitis
4. Chelesterol crystals

Correct answer: 1. Adenomyomatosis

Explanation: Adenomyomatosis Repeat from May 11 Adenomyomatosis is a benign condition characterized by hyperplastic changes of unknown etiology involving the gallbladder wall. It causes overgrowth of the mucosa, thickening of the muscular wall, and formation of intramural diverticula or sinus tracts termed as Reokitansky-Aschoff sinuses. These sinuses may contain cholesterol crystals. The presence of cholesterol crystals in theses sinuses can result in "ring down", "V-shaped",or "comet-tail" artifacts. The disease can be focal or diffuse. It has no malignant potential.